Causes of raised J.V.P. with hypotension are allexcept
1. >Cardiac tamponade
2. >Right ventricular M.I.
3. >Heart failure
4. >2nd degree A.V. block

Correct answer: 4. >2nd degree A.V. block

Explanation: 2nd degree A.V. block Differential diagnosis of increased venous pressure with hypotension Cardiac tamponade Constrictive pericarditis Right ventricular wall M.I. Restrictive cardiornyopathy Right heart failure